Most common cause of central precocious puberty in girls is?
1. Idiopathic
2. McCune-Albright syndrome
3. Hypothyroidism
4. Granulosa-theca cell tumour

Correct answer: 1. Idiopathic